The Maltese cross is seen on polarizing microscopy in -
1. Cryptococcus neoformans
2. Penicillium marneffei
3. Blastomyces
4. Candida albicans

Correct answer: 1. Cryptococcus neoformans

Explanation: Maltese cross pattern under polarized light is seen in:- Babesia, Cryptococcus, Aspergillus nidulans, starch granules and lipid (cholesterol) droplets.

"Fungal ball due to Aspergillus nidulans have a propensity to produce pale staining thick walled non-viable null cells that show maltese cross birefringence when examined under the polarized light".
"On the polarized light, the spores in cryptococcus give maltese cross appearance".
"Babesia microti is associated with maltese cross forms and ring forms".
"Starch granules and fat (cholesterol) droplets produce a maltese cross pattern in the polarized light".